In left sided massive pneumothorax, ECG shows all, except-
1. Left axis deviation
2. Absent R wave
3. Peaked P wave
4. Precordial T wave inversion

Correct answer: 1. Left axis deviation

Explanation: Abnormal left axis deviation in left-sided pneumothorax. Relevant QRS abnormalities (incomplete RBBB and T-wave inversion) in(10%). QRS amplitude in V2-V6 leads was significantly decreased in left-sided pneumothorax. Ref Harrison 20th edition pg 1546